Which of the following segments are not removed in right hepatectomy
1. 4B
2. 5
3. 6
4. None of the above

Correct answer: 1. 4B

Explanation: Inert right hepatectomy 5, 6, 7 and 8 segments are removed.